Most common organism causing chorioretinitis in HIV is-
1. CMV retinitis
2. Tocoplasma retinochoroiitis
3. Syphilitic retinitis
4. Pneumocystis carini

Correct answer: 1. CMV retinitis

Explanation: Ans. is 'a' i.e., CMV retinitis o "Cytomegalovirus (CMV) is the most common cause of chorioretinitis in patients who are HIV positive.